Which of the following cannot be done by 3-year-old child
1. Draw a triangle
2. Draw a circle
3. Go up and down stairs
4. Arrange tower of 9 cubes

Correct answer: 1. Draw a triangle

Explanation: Draw a Triangle by 5 years of age Ref.nelson 20th edition tab.11.1